Prostate cancer occurs in which zone of the gland:
1. Transitional zone
2. Central zone
3. Peripheral zone
4. Anterior portion

Correct answer: 3. Peripheral zone

Explanation: Ans. (c) Peripheral zoneRef: Bailey 26th Edition, Page 1340* Prostate cancer occurs in peripheral zone* BPH occurs in Transitional Zone.